Extensor Carpi Radialis Longus is -
1. Extensor and ulnar deviator of the wrist
2. Extensor and radial De viator of the wrist
3. Injured in Posterior interosseus nerve injury
4. Weak extensor of the wrist

Correct answer: 2. Extensor and radial De viator of the wrist

Explanation: Ans. is 'b' i.e., Extensor and radial Deviator of the wrist o Extensor carpi Radialis Longus is a primary extensor and radial deviator of the wrist o It is supplied by the radial nerve and not the PIN o Loss of function causes wrist drop